In Gaucher's diseases, there is deficiency of
1. Glucocerebrosidase
2. Glucokinase
3. Sphingomyelinase
4. G-6PD

Correct answer: 1. Glucocerebrosidase

Explanation: Enzyme defect Gaucher's disease. Beta glucosidase is deficient Salient features: -Glucocerebroside accumulate. adult, infantile, juvenile. Hepatosplenomegaly, erosion of bone, moderate anemia.Ref: DM Vasudevan, 7th edition, page no: 184